Left loin nephrectomy, Str. not cut is -
1. Trapezius
2. Seratus inf. post
3. Lat. dorsi
4. Internal oblique

Correct answer: 1. Trapezius